All of the following are ture regarding cephalosporins except -
1. Bactericidal agents
2. Active against only gram negative bacteria
3. IIIrd generation are resistant to beta-lactamases from gram negative bacteria
4. Ceftriaxone is administered parenterally

Correct answer: 2. Active against only gram negative bacteria

Explanation: Ans. is 'b' i.e., Active against olny gram negative bacteria Cephalosporins are active against gram positive as well as gram negative bacteria, and are bactericidal. o Ceftriaxone is a parentral cephalosporin. o Third generation cephalosporins are highly resistant to beta-lactamases from gram negative bacteria.